Submandibular salivary duct calcification treatment includes
1. Longitudinal incision and suturing the duct
2. Longitudinal incision and suturing the wound leaving the duct open
3. Transverse incision and suturing the duct
4. Transverse incision and suturing the wound leaving the duct open

Correct answer: 2. Longitudinal incision and suturing the wound leaving the duct open